Best tome for surgery of hypospadias is
1. 1 - 4 months age
2. 6 - 18 months age
3. 12 - 18 months age
4. 2 - 4 months age

Correct answer: 2. 6 - 18 months age

Explanation: Best time for suegery of hypospadias is 6 - 18 months > 6 - 10 months of age.